Band and loop space maintainer is:
1. Unilateral fixed non functional
2. Unilateral removable functional
3. Bilateral fixed non functional
4. Bilateral removable functional

Correct answer: 1. Unilateral fixed non functional